The most characteristic radiographic sign in a child with leukemia is -
1. Osteosclerosis of the metaphysic
2. Metaphyseal translucencies
3. Periosteal reaction
4. Osteolytic lesion

Correct answer: 2. Metaphyseal translucencies

Explanation: Ans. is 'b' i.e., Metaphyseal translucencies